Bone Pain, bone, cysts, fractures and renal stones are
characteristics of
1. Hyperparathyroidism
2. Cushing's syndrome
3. Multiple myelonia
4. Marfan's syndrome

Correct answer: 1. Hyperparathyroidism